HHV-8 causes ?
1. Burkitt's lymphoma
2. Nasopharyngeal carcinoma
3. Kaposi sarcoma
4. Hepatic carcinoma

Correct answer: 3. Kaposi sarcoma

Explanation: Ans. is 'c' i.e., Kaposi sarcoma